Amount of blood loss in class II circulatory failure/Haemorrhagic shock?
1. <15%
2. 15-30%
3. 30-40%
4. >40%

Correct answer: 2. 15-30%

Explanation: -Hemorrhagic shock has been divided into 4 classes according to ATLS course. Class 1 Class2 Class 3 Class 4 Blood volume lost as % of total < 15 % 15-30% 30-40% >40% Four Classes of Hemorrhagic Shock (According to the ATLS course) Parameter I II III IV Blood loss (%) 0-15% 15-30 30-40 >40 CNS Slightly anxious Mildly anxious Anxious or confused Confused or lethargic Pulse (beats/ min) <100 >100 >120 >140 Blood pressure Normal Normal Decreased Decreased Pulse pressure Normal Decreased Decreased Decreased Respiratory rate 14-20/min 20-30/min 30-40/min >35/min Urine (mL/hr) >30 20-30 5-15 Negligible Fluid Crystalloid Crystalloid Crystalloid + blood Crystalloid + blood Base deficit 0 to -2 mEq/L -2 to 6 mEq/L -6 to -10 mEq/L -10 mEq/L or less -Please refer to the above table as many such questions are asked from the table.